Nuchal Skin Fold thickness Scan is done between:
1. 6-10 WEEKS
2. 11-14 WEEKS
3. 18-22 WEEKS
4. 28-32 weeks

Correct answer: 3. 18-22 WEEKS

Explanation: Nuchal translucency testing is distinctly different from and should not be confused with nuchal thickness testing. At the end of the second trimester (26 weeks), the nuchal translucency can no longer be seen and instead the nuchal fold thickness is measured between 16 and 24 weeks gestation. *Nuchal Skin fold thickness is measured in the second trimester usually between 18-22 weeks of gestation *The measurements are taken from the outer aspect of occiput to the outer aspect of skin fold *Values >6mm is considered abnormal and is a soft marker of Aneuploidy usually Downs Syndrome. *Nuchal translucency scan is done between 11-14 weeks of gestation behind the neck and is also a soft marker for Aneuploidy especially Down syndrome.